Biochemical screening of newborn infants by heelprick blood samples is performed by using the –
1. Tay–Sachs Card
2. Duchenne Card
3. Guthrie Card
4. Maple Card

Correct answer: 3. Guthrie Card